Percentiles divides the data into _____ equal parts
1. 100
2. 50
3. 10
4. 25

Correct answer: 1. 100

Explanation: A percentile (or a centile) is a measure used in statistics indicating the value below which a given percentage of observations in a group of observations falls. There is no standard definition of percentile,. however all definitions yield similar results when the number of observations is very large and the probability distribution is continuous. In the limit, as the sample size approaches infinity, the 100pth percentile (0<p<1) approximates the inverse of the cumulative distribution function (CDF) thus formed, evaluated at p, as p approximates the CDF. This can be seen as a consequence of the Glivenko-Cantelli theorem. Ref : https://en.m.wikipedia.org/wiki/Percentile